The risk of developing infective endocarditis is the least in patient with -
1. Small VSD
2. Severe aortic regurgitation
3. Severe mitral regurgitation
4. Large ASD

Correct answer: 4. Large ASD

Explanation: Ans. is 'd' i.e., Large ASD Pathogenesis of infective endocarditis (IE) Infective endocarditis may develop on previously normal valve, but a variety of cardiac and vascular abnormalities predispose to infective endocarditis. o Two most common cardiac abnormalities that predispose to infective endocarditis are - 1.Rheumatic carditis o Rheumatic carditis causes damage to heart valve. o Damaged part of heart may be covered with platelets and fibrin, upon which bacteria can take hold. 2. Congenital heart diseases (CHDs) o IE occurs in CHDs where blood flow occurs due to high pressure gradient, e.g. VSD or AS. o The high pressure of jet of blood hits the endocardium and damages it. o Infection generally starts at this lesion. High Risk Moderate Risk Low Risk Prosthetic heart valve MVP + M. R. Mitral valve prolapse without mitral Regurgitation. Tetralogy of fallot T.S. ASD PDA AR P.S. AS M.S. Coarctation of Aorta VSD MR